Which of the following coagulation factors causes cross linking and stabilization of clot.
1. Factor XIII
2. Thrombin
3. Factor VIII
4. Factor IX

Correct answer: 1. Factor XIII

Explanation: A i.e. Factor XIIIFactor XIII (13) also known as fibrin stabilizing factor, when gets activated (by thrombin) cause formation of covalent cross linkages and provide three dimensional strength to fibrin meshwork (stbilization)QFactor XIII (a) converts a loose mesh of interlacing fibrin strands to a tightly dense aggregate by formation of multiple covalent bonds between fibrin monomers and cross linkages between fibrin fibers. This also requires calcium.